A patient with alcoholic cirrhosis has a MELD score of 20-29. What is the percentage of mortality in next 3 months?
1. 3%
2. 9%
3. 25%
4. 60%

Correct answer: 3. 25%

Explanation: Model for end stage liver disease MELD = 3.78 x log + 11.2xlog + 9.57 x log + 6.43 x etiology (0: cholestatic or alcoholic, 1- otherwise) In interpreting the MELD Score in hospitalized patients, the 3 month mortality is: MELD Score 3 month mortality >40 71.3% mortality 30-39 52.6% mortality 20-29 19.6% mortality 10-19 6.0% mortality <9 1.9% mortality Therefore nearest options is 25%